An 11-year-old child falls and cuts his hand. The wound becomes infected. Bacteria extend into the extracellular matrix around capillaries. In the inflammatory response to this infection, which of the following cells removes the bacteria?
1. B lymphocyte
2. Fibroblast
3. Macrophage
4. Mast cell

Correct answer: 3. Macrophage

Explanation: Macrophages in tissues derived from circulating blood monocytes are phagocytic cells that respond to a variety of stimuli, and they represent the janitorial crew of the body. The other cells listed are not phagocytes. B cells can differentiate into plasma cells secreting antibodies to neutralize infectious agents. Fibroblasts form collagen as part of a healing response. Mast cells can release a variety of inflammatory mediators. T cells are a key part of chronic inflammatory processes in cell-mediated immune responses.